Which of the following is not seen in Corpus Cancer syndrome -
1. Diabetes mellitus
2. Hypertension
3. Obesity
4. Multiparity

Correct answer: 4. Multiparity

Explanation: Ans. is 'd' i.e., Multiparity Females with diabetes. hypertension, or taking diet rich in fat are at higher risk of endometrial cancer.This is called corpus cancer syndrome which consists of obesity, hypertension and diabetes.Risk factors for Endometrial carcinomaFactor influencing riskRelative Risk* Obesity2-5* Polycystic ovary syndrome>5* Long term use of high dose10-20menopausal estrogens * Early age of menarche1.5-2* Late age of natural menopause2-3* History of infertility2-3* Nulliparity3* Menstrual irregularities1.5* Residency in North America3-18or North Europe * Higher level of income or1.5-2education * White race2* Older age2-3* High cumulative dose of3-7tamoxifen * History of diabetes, hypertension1.3-3gallbladder * High dose of OOP's0.3-0.5* Cigarette smoking.05